In case of pneumothorax -
1. Cavity in lung
2. Air fills in pleural space
3. Pus fills in pleural space
4. Blood in pleural space

Correct answer: 2. Air fills in pleural space

Explanation: Ans. is 'b' i.e., Air fills in pleural space * Pneumothorax- Air in pleural cavity* Empyema- Pus in pleural cavity* Hemothorax- Blood in pleural space* Hydrothorax- Fluid in pleural cavity